Which one of the following is the treatment of choice for Dermatitis Herpetiformis?
1. Corticosteroids
2. Dapsone
3. Methotrexate
4. Retinoids

Correct answer: 2. Dapsone

Explanation: Ans. is 'b' i.e., Dapsone Dapsone is the t/t of choice for dermatitis herpetiformisT/t of Dermatitis HerpetiformisGluten free diet slow to act on the skin lesion (several months) though the bowel changes revert to normal quickly. However a gluten free diet may be difficult to follow.Dapsone (100-200 mg daily for adults) and Sulph pyridine works dramatically.Response (within 4& - 72 hours) to Dapsone has been used as therapeutic test for diagnosis of dermatitis herpetiformis.Both these drugs can cause rashes hemolytic anemia Thrombocytopenia Methemoglobinemia Peripheral neuropathyRegular monitoring of blood count is therefore essential.